Portal of entry of poliovirus in mainly -
1. Gastrointestinal tract
2. Nasal mucosa
3. Lung
4. Skin

Correct answer: 1. Gastrointestinal tract

Explanation: Polio virus is transmitted by feco oral route through ingestion.multiply irt the alimentaty canal
REF:MICROBIOLOGY ANANTHA NARAYANAN NINTH EDITION PAGE.486